Mite transmits -
1. Scrub typhus
2. Trench fever
3. Endemic typhus
4. Epidemic typhus

Correct answer: 1. Scrub typhus

Explanation: Ans. is 'a' i.e., Scrub typhus